Barton's fractrue is -
1. Fracture proximal radius
2. Fracture distal radius
3. Fracture ulna
4. Fracture humerus

Correct answer: 2. Fracture distal radius

Explanation: Ans. is 'b' i.e., Fractrue distal radius Barton's fractureo Barton's fracture is an intra-articular fracture of distal radius with subluxation of carpals.o When carpals subluxation occurs anteriorly (volar), it is called volar Barton's fracture. It is the commonest type,o When carpals subluxate posteriorly (Dorsal), it is called Dorsal Barton's fracture.o The Barton's fracture is difficult to manage by conservative methods : reduction is often imperfect and tends to be unstable, so that redisplacement often occurs,o Therefore, often internal fixation by small buttress plating is recommended.